"Facies leprosa" is characterized by?
1. Madarosis
2. Resorption of anterior nasal spine
3. Collapse of nasal bridge
4. Loss of Lower incisor's

Correct answer: 2. Resorption of anterior nasal spine

Explanation: Facies leprosa characterised by: * Resorption of anterior nasal spine * Loss of upper incisor * Involvement of supra incisive alveolar region * Anterior alveolar process of maxilla